Central muscle relaxants act by -
1. Decreased nerve conduction
2. Inhibits spinal polysynaptic reflexes
3. Block conduction across NM junction
4. CNS depression

Correct answer: 2. Inhibits spinal polysynaptic reflexes

Explanation: Ans. is 'b' i.e., Inhibits spinal polysynaptic reflexes Centrally acting muscle relaxants selectively depress spinal and supraspinal polysynaptic reflexes involved in the regulation of muscle tone without significantly affecting monosynaptic mediated stretch reflex.